Recommended number of population per PHC in tribal area
1. 30000
2. 20000
3. 40000
4. 25000

Correct answer: 2. 20000

Explanation: Ref:Park's Textbook of Preventive and Social Medicine 25th Ed